T-lymphocytes:
1. Circulate in the blood in small numbers than B lymphocytes
2. Are responsible for cell mediated immunity
3. Are smaller than B lymphocytes
4. Can become transformed into K cells

Correct answer: 2. Are responsible for cell mediated immunity

Explanation: Ans. B i.e. Are responsible for cell mediated immunity